What is epicolic node ?
1. Node draining colon
2. Adjacent to aorta
3. Epitracheal node
4. None

Correct answer: 1. Node draining colon

Explanation: • Lymphatic drainage also follows the arterial anatomy.
• Lymphatics from the colon and proximal two thirds of the rectum ultimately drain into the para-aortic nodal chain, which empties into the cisterna chyli.
• Superior and inferior mesenteric nodes are part of Pre-aortic group of lymph nodes.
• Lymphatics draining the distal rectum and anal canal may drain either to the para-aortic nodes or laterally, through the internal iliac system, to the superficial inguinal nodal basin (dentate line roughly marks the level where lymphatic drainage diverges).
• Lymph nodes are commonly grouped into levels depending on their location.